How many base pairs are encoded by a prokaryotic polypeptide of 250 amino acids?
1. 250 bp
2. 500 bp
3. 750 bp
4. 1000 bp

Correct answer: 3. 750 bp

Explanation: A prokaryotic DNA does not contain any introns and the base sequence is exactly collinear with the amino acid sequence of proteins. Each amino acid is represented by a 3 base codon, therefore 250 amino acid protein will require 750 base pairs (250 x 3 = 750).